Mesangial cells are contracted by
1. Histamine
2. Nitric oxide
3. Bradykinin
4. Dopamine

Correct answer: 1. Histamine

Explanation: Contraction Relaxation Endothelins ANP AngiotensinII Dopamine Vasopressin PGE2 Norepinephrine cAMP Platelet-activating factor Platelet-derived growth factor Thromboxane A2 PGF2 Leukotrienes C4 and D4 Histamine Ref: Ganong's Review of medical physiology 25th edition. Page: 678 Table 37-3